Alpha-1 antitrypsin acts to prevent lung tissue destruction by
1. Inhibiting the release of trypsin
2. Inhibiting the activation of trypsinogen
3. Inhibiting the release of chymotrypsin
4. Inhibiting the elastase of neutrophils in lung

Correct answer: 4. Inhibiting the elastase of neutrophils in lung

Explanation: Answer- D. Inhibiting the elastase of neutrophils in lungThe most accepted theory in the pathogenesis of emphysema is protease - antiprotease mechanism which is responsible in the pathogenesis of two common forms of emphysema, i.e. centriacinar and panacinar.A) Pathogenesis of panacinar emphysemaPanacinar emphysema is associated wlth congenital deficiency of alpha 1-antitrypsin.Neutrophil are the major cell in the pathogenesis of panacinar emphysema.B) Pathogenesis of centriaginar emphysema in centriacinar emphysema, both neutrophils and macrophages play central role.